Risk factors for Gonorrhea include all EXCEPT which of the following?
1. Age < 25 years
2. Prostitution
3. Recurrent urinary tract infections
4. Drug abuse

Correct answer: 3. Recurrent urinary tract infections

Explanation: Risk Factors or Gonococcal carriage and potential upper reproductive tract infection that merit screening are: Age <= 24 years, Prior or current STDs, New or multiple sexual partners, A partner with other concurrent partners, A partner with an STD, Lack of barrier protection in those without a monogamous relationship, Commercial sex worker, Drug abuse.